Which among the following is not a beta lactamase inhibitor ?
1. Sulbactam
2. Calvulanic acid
3. Piperacillin
4. None

Correct answer: 3. Piperacillin